Exhaustive treatise on scurvy was published by:
1. John Snow
2. James Lind
3. H. Khorana
4. James Lister

Correct answer: 2. James Lind

Explanation: James Lind was a Scottish physician. In 1753 he published a treatise of the scurvy was published by James Lind. Scurvy is a disease now known to be caused by a Vitamin C deficiency, but in Lind's day, the concept of vitamins was unknown. Ref: Diseases: Finding the Cure By Robert Mulcah.